Psychodynamic theory among the following is/are:
1. Psychosexual theory.
2. Psychosocial theory.
3. Cognitive theory.
4. All of the above.

Correct answer: 4. All of the above.

Explanation: I. Psychodynamic theories

 Psychosexual theory   -  Sigmund Freud
 Psychosocial theory    -  Eric Erickson
 Cognitive theory          -  Piaget

II.Behavioural theories

 Hierarchy of needs - Maslow
 Social learning theory - Bandura  
 Classical conditioning - Pavlov 
 Operant conditioning - Skinner